Tangier disease is due to deficiency of
1. LDL
2. HDL
3. VLDL
4. Chylomicrons

Correct answer: 2. HDL

Explanation: Name Defect Remarks Familial alpha-lipoprotein deficiency Tangier disease Fish-eye disease apo-A-I deficiencies All have low or near absence of HDL Tendency toward hyperiacylglycerolemia as a result of absence of apo C-ll, causing inactive LPL. Low LDL levels. Atherosclerosis in the elderly. Reference: Harper; 30th edition; Page no: 275